Which of the following statements about sulfonamides is FALSE?
1. Sulfonamides inhibit bacterial dihydrofolate reductase
2. Dysfunction of the basal ganglia may occur in the newborn if sulfonamides are administered late in pregnancy
3. Sulfonamides crystalluria is most likely to occur at low urinary pH
4. Sulfonamide are antimetabolites

Correct answer: 1. Sulfonamides inhibit bacterial dihydrofolate reductase

Explanation: (Ref:KDT 6/e p685) Sulfonamides are antimetabolites that act by inhibiting the enzyme folate synthase. Dihydrofolate reductase is inhibited by methotrexate, trimethoprrim and pyrimethamine. These can cause kernicterus in new born if used in late pregnancy. At acidic pH, these can get precipitated and result in crystalluria.